If a 5-year-old child suddenly develops stridor, which one of the following would be the most likely diagnosis
1. Laryngomalacia
2. Acute laryngo-tracheobronchitis
3. Foreign body aspiration
4. Acute epiglottitis

Correct answer: 3. Foreign body aspiration

Explanation: Foreign body is a potential cause of stridor in children.Foreign body aspirated more are food and coins.Treatment consists of endoscopic visualisaion and removal by an experienced surgeon. Ref : Essential pediatrics,O.P.Ghai,7th edition,pg np:341